Von-Rosen's sign is positive in -
1. Perthe'sdisease
2. SCFE
3. DDH
4. CTEV

Correct answer: 3. DDH

Explanation: Ans. is 'c' i.e., DDHRadiological features of DDH/CPHo In Von Rosen's view following parameters should be notedPerkin's line : Vertical line drawn at the outer border of acetabulumHilgenreiner's line : Horizontal line drawn at the level of tri-radiate cartilageShenton's line : Smooth curve formed by inferior border of neck of femur with superior margin of obturator foramen.Acetabular index: Normally is < 30degCE angle of Wiberg: Normal value is 15-30dego Normally the head lies in the lower and inner quadrant formed by two lines (Perkin's & Hilgenreiner's). In DDH the head lies in outer & upper quadranto Shenton's line is brokeno Delayed appearance & retarded development of ossification of head of femuro Sloping acetabulumo Superior & lateral displacement of femoral headVon-Rosen's lineo This is a line, which helps in the diagnosis of DDH in infants less than 6 months.o For this AP view of pelvis is taken with both lower limb in 45deg abduction and full internal rotation,o Upward prolongation of long axis of shaft of the femur points towards the lateral margin of the acetabulum and crosses the pelvis in the region of sacroiliac joint.o In CDH, upward prolongation of this line points towards anterior superior iliac spine and crosses the midline in the lower lumber region - Positive Von-Rosen's sign.